A child presents with ascending flaccid paralysis. There is subsequent respiratory muscle involvement. CSF examination shows albuminocytological dissociation. Treatment of choice is :
1. Cycloserine
2. Oral prednisolone
3. I.V. methyl prednisolone
4. I.V. immunoglobins

Correct answer: 4. I.V. immunoglobins

Explanation: Answer is D (I.V. Immunoglobins): The characteristic clinical presentation and CSF finding lead us to the diagnosis of GBS Either high does intravenous immunoglobulins or plasmapharesis can be initiated as they are equally effective. -- Harrison 's Glucocorticoids have not been found to be effective in GBS - Harrisons Steroids do not reduce the duration but may increase the risk of infection and worsen the problem. Steroids should be considered contraindicated in the treatment of GB syndrome - API 6th/ 835